Bilateral ovarian cancer with; capsule breached: ascites positive for malignant cells. Stage is :
1. I
2. II
3. III
4. IV

Correct answer: 1. I

Explanation: Ans. is a i.e. Stage I Bilateral involvement and malignant ascites is seen in category C of all stages i.e., Stage I Stage II and Stage III. As no mention is made whether disease extend beyond ovaries; Stage lc can be designated.